Following clostridia are saccharolytic except ?
1. Welchii
2. Sporogenes
3. Septicum
4. Oedematiens

Correct answer: 2. Sporogenes

Explanation: Ans. is 'b' i.e., Sporogenes . Clostridia may break down carbohydrate for energy (sacchrolytic) or break down protein for energy (proteolytic) or both. Different clostridia have different pattern :- . Both proteolytic and saccharolytic - Predominating proteolytic --> CL sporogenes, Cl botulinum A .B.F., Cl. bifermentans, Cl. histolyticum - Predominating saccharolytic Cl. perfringens, Cl. novyi, CL septicum, Cl. difficile. . Only proteolytic (not saccharolytic) --> Cl. tetani . Only saccharolytic (not proteolytic) --> Cl. botulinum C.D.E. . Neither proteolytic nor saccharolytic --> Cl. cochlearum.